Drugs with high plasma protein binding have:
1. Short duration of action
2. Less drug interactions
3. Lower volumes of distribution
4. All of the above

Correct answer: 3. Lower volumes of distribution

Explanation: - Plasma protein binding of drugs causes

   Lower volume of distribution
   Longer duration of action
   Increased drug interactions- due to drug displacement for the binding site.